Serotonin is mainly secreted by?
1. Mast cells
2. Platelets
3. Neutrophills
4. Macrophages

Correct answer: 2. Platelets

Explanation: o Serotonin (5-hydroxy tryptamine) is present in platelets and enterochromaffin cells.
o It is also present in mast cells of rodents, but not humans.